Acute Otitis media in Children is most commonly due to
1. Morexiello catarrhalis
2. H. influenza
3. Streptococcus pneumoniae
4. Staphylococcus aureus

Correct answer: 3. Streptococcus pneumoniae

Explanation: (C) Streptococcus pneumoniae # Causative Organisms of ASOM:> Most common organisms in infants and young children are Streptococcus pneumoniae (30%), Haemophilus influenzae (20%) and Moraxella catarrhalis (12%).> Other organisms include Streptococcus pyogenes, Staphylococcus aureus & sometimes Pseudomonas aeruginosa.> In about 18-20%, no growth is seen.> Many of the strains of H. influenzae & Moraxella catarrhalis are ft-lactamase producing.